Long arm chromosome 5 deletion is seen in -
1. Crohn's disease
2. Ulcerative colotis
3. Polyposis coli
4. Pheochromocytoma

Correct answer: 3. Polyposis coli